Estimation of the following hormones is useful while investigating a case of gynaecomastia except :
1. Testosterone
2. Prolactin
3. Estradiol
4. Lutenizing hormone

Correct answer: 2. Prolactin

Explanation: Answer is B (Prolactin): Gynaecomastia does not result from either excess or deficiency of prolactin. Gynaecomastia may result from deficient testosterone or increased estrogen. Prolactin' causes synthesis of milk in the female breast, and its excess results in galactorrhea. It also opposes the action ofpituitary gonadotrophins on the gonads and may thus result in hypogonadism and amenorrhea. Gynaecomastia does not result from either excess or deficiency of prolactin. Endocrine work up for Gynaecomastia includes: Measurement of serum androstenedione or 24hr urinary 17 ketosteroids (usually elevated in feminizing adrenal states) Measurement of plasma estradiol and hcG. Measurement of plasma LH and testosterone